Malunion of the supracondylar fracture of the humerus in children results
1. Flexion deformity
2. Extension deformity
3. Cubitus varus deformity
4. Cubitus valgus deformity

Correct answer: 3. Cubitus varus deformity

Explanation: (Cubitus varus deformity) (599-Apley's 8th)* Malunion is the commonest complication of a supra condylar fracture and results in a cubitus varus deformity (Gun-stock deformity)* This is because the fracture unites with the distal fragment tilted medially and in internal rotation* Cubitus valgus deformity results from fracture lateral condyle of humerus. This may result in late ulnar nerve palsy (Tardy-ulnar nerve palsy)